Reamers and files differ mainly in:
1. Cross sectional form
2. Colour coding
3. Number of flutes along the blade
4. Instrument formula

Correct answer: 3. Number of flutes along the blade